A chronic alcoholic develops palpitations suddenly after an alcohol binge. His pulse is irregularly irregular Which of the following arrhythmia is most commonly associated with alcohol binge in the alcoholics?
1. Ventricular fibrillations
2. Vetricular premature contractions
3. Atrial flutter
4. Atrial fibrillation

Correct answer: 4. Atrial fibrillation